Doubling the force applied at the bracket of a tooth would have what effect on the moment affecting tooth movement?
1. The moment would decrease by 50%.
2. The moment would not change.
3. The moment would double.
4. The moment would increase by 4 times.

Correct answer: 3. The moment would double.

Explanation: Since M = Fd, doubling the force would double the moment, or tendency to rotate, tip, or torque.